Mrs Sharma , a retired government officer has recently been diagnosed with non-valvular atrial fibrillation.When considering the need for starting anti-coagulation therapy which scoring system can be used to calculate her percentage 1 year risk of developing a major bleed?
1. HEART
2. HASBLED
3. CHADS2 -Vasc
4. NIHS

Correct answer: 2. HASBLED

Explanation: Option A : HEART - Chest pain severity Option B : HASBLED- Risk of CNS bleeed Option C : CHADS2- Vasc - Decision for anticoagulation Option D : NIHSS - Stroke severity score HAS - BLED Letter Clinical Characteristic Points H Hypertension 1 A Abnormal Liver or Renal Function 1 or 2 S Stroke 1 B Bleeding 1 L Labile INR 1 E Elderly (age>65) 1 D Drugs or Alcohol 1 or 2 Maximum 9 HEART score for chest pain patients History Highly suspicious 2 Moderately suspicious 1 Slightly SUSPICIOUS 0 ECG Significant ST-detion 2 Non-specific repolarisation 1 Normal 0 Age > 65 years 2 45 -- 65 years 1 <45 years 0 Risk factors >3 risk factors or history of atherosclerotic disease 2 1 or 2 risk factors 1 No risk factors known 0 Troponin 3x normal limit 2 1-3x normal limit 1 Normal limit 0